Cocket & Dodd's operation is for -
1. Saphenofemoral flush ligation
2. Subfascial ligation
3. Deep vein thrombosis
4. Diabetic foot

Correct answer: 2. Subfascial ligation

Explanation: Ans. is 'b' i.e., Subfascial ligation